Which of the following has max mineralcorticoid activity?
1. A ldosterone
2. Prednisolone
3. Fludrocortisone
4. Dexamethasone

Correct answer: 1. A ldosterone

Explanation: Ans. is 'a' i.e., Aldosterone Zero mineralocorticoid activity - Triamcinolone, Paramethasone, Dexamethasone, Betamethasone Mineralocorticoid with zero glucocorticoid activity - DOCA (Deoxycorticoisterone acetate) Most potent glucocorticoid - Betametasone Least potent glucocorticoid - Cortisone Maximum mineralocorticoid activity - Aldosterone Maximum glucocorticoid activity - Dexamethosone & Betametasone